Definite markers for hepatoblablastoma is
1. LDH
2. Alpha-fetoprotein (AFP)
3. hCG
4. Alkaline phosphatase

Correct answer: 2. Alpha-fetoprotein (AFP)

Explanation: Hepatoblastoma is a rare malignant tumour arising from primitive hepatic parenchymal cells. It presents before the age of 2 years as progressive abdominal distension with anorexia, failure to thrive, fever and jaundice. It is more common in boys. The concentration of serum AFP is high. Microscopy: two variants, epithelial type and mixed epithelial and mesenchymal type. TEXT BOOK OF PATHOLOGY 6TH EDITION HARSH MOHAN PGNO.637